Motorcyclist's fracture is:
1. Stellate fracture across base of skull
2. Transverse fracture across base of skull
3. Lamina fracture of C7 vertebra
4. Spinous process fracture of C7 vertebra

Correct answer: 2. Transverse fracture across base of skull

Explanation: Motor Cyclists fracture (Hinged fracture): Transverse fracture across base of skull leading to separation into anterior- posterior.